Contraceptive method that can prevent cancer cervix-
1. Condom
2. OCP
3. Mini Pills
4. Tubectomy

Correct answer: 1. Condom